Management of non Immunised diphtheria contacts include all except -
1. Prophylactic pencillin
2. Single dose of Toxoid
3. Daily throat examinations
4. Throat swab culture

Correct answer: 2. Single dose of Toxoid

Explanation: Non immunised close contact should receive prophylactic Penicillin or erythromycin. They should be given1000- 2000 units of antitoxin and actively immunised against diphtheria. The bacteriological surveillance should be continued for several weeks by repeated swabbing at weekly intervals Reference; Park's Textbook of preventive and social medicine, 24th edition.Pg no. 171